Which of the following purgative increases the fecal bulk due to their water absorbing and retaining capacity-
1. Methyl cellulose
2. Lactulose
3. Liquid paraffin
4. Dioctyl sodium sulfosuccinate

Correct answer: 1. Methyl cellulose

Explanation: Ans. is 'a' i.e., Methyl cellulose o Bulk forming purgatives (e.g. methycellulose) absorb water and increas the volume of stool.